Nerve abscess in tuberculoid leprosy treatment of choice -
1. Incision and drainage
2. High dose clofazimine
3. Steroids
4. Thalidomide

Correct answer: 1. Incision and drainage

Explanation: Incision and drainage